Squeeze technique is used for the treatment of -
1. Retrograde ejaculation
2. Premature ejaculation
3. Erectile dysfunction
4. UTI

Correct answer: 2. Premature ejaculation

Explanation: Ans. is 'b' i.e., Premature ejaculation * Squeeze technique (Seman's technique) is used for premature ejaculation. When the male partner experiences 'ejaculatory inevitability' the female partner 'squeezes' the penis on the coronal ridge thus delaying ejaculation.